High first pass metabolism is seen in -
1. Lignocaine
2. Propranolol
3. Salbutamol
4. All

Correct answer: 4. All

Explanation: Ans. is 'a' i.e., Lignocaine; 'b' i.e., Propranolol; 'c' i.e., Salbutamol